Which of the following is the least acidic NSAID?
1. Aspirin
2. Etodolac
3. Diclofenac
4. Nabumetone

Correct answer: 4. Nabumetone

Explanation: Ans. is 'd' i.e., Nabumetone o All NSAIDs are acidic in nature except nabumetone.